Reservoir of plague is ?
1. Domestic rat
2. Wild rat
3. Rat flea
4. Man

Correct answer: 2. Wild rat

Explanation: Ans. is 'b' i.e., Wild rat